Mental ability to make valid will is
1. Vicarious liability
2. Curren's rule is basis for this
3. Testamentary capacity
4. McNaughten's rule

Correct answer: 3. Testamentary capacity

Explanation: C i.e. Testamentary capacity Testamentary capacity capacity is the mental ability oof a person to make a valid willQ (Sec 31 IPC Holograph Will Will written by a testator in own hand writing Mc Naughten/ Durham's/ Curren's - Rule Rules for criminal responsibility of insaneQ Vicarious Responsibility A master is responsible for negligent acts of his servantsQ (not where servant is independent to take decisions) Euthansia Mercy killingQ Galton system Finger print study (Dactylography)Q Gustafson's/ Boyde - Method Age estimation by means of teethdeg. Beillion system/ Anthropometry Identification of an adult (> 21 years) on basis of body measurements, marks & descriptive data.Q